YAG laser wave is:
1. Colorless
2. Red
3. Green
4. Blue

Correct answer: 1. Colorless

Explanation: Ans. A i.e. Colorless